In a right handed person, laryngoscope should be held with:
1. Right hand
2. Left hand
3. Either hand
4. Both hand

Correct answer: 2. Left hand

Explanation: Laryngoscope is designed to be held in left hand by both right and left handed persons. If it is held by right hand the closed covered part of the blade will block the view of glottis and make insertion of endotracheal tube difficult. Right hand is used to retract the lips and guide the laryngoscope and to handle suction and instruments.